The correlation between IMR and Socio Economic status is best depicted by –
1. Correlation (+1)
2. Correlation (+0.5)
3. Correlation (– 1)
4. Correlation (– 0.8)

Correct answer: 4. Correlation (– 0.8)